Incineration is?
1. High temperature reduction process
2. Low temperature reduction process
3. High temperature oxidation process
4. Low temperature oxidation process

Correct answer: 3. High temperature oxidation process

Explanation: High temperature oxidation process INCINERATION 1. Incineration: Is a 'high temperature dry oxidation' process; It leads to Significant reduction in waste- volume and weight (up to 70 - 80%) 2. Incineration does not require pre-treatment 3. Biggest disadvantage of incineration: Generation of smoke 4. Types of Incinerators: - Double-chamber pyrolytic - Single-chamber pyrolytic - Rotary kilns 5. Temperature in an incinerator: - Primary chamber: 800deg +- 50degC - Secondary chamber: 1050deg +- 50degC